Following is not a variety of entropion ?
1. Pathological
2. Spastic
3. Cicatrix
4. Involutional

Correct answer: 1. Pathological

Explanation: Ans. is 'a' i.e., Pathological